Children born to mothers with systemic lupus erythematosus are likely to have one of the following anomalies:
1. Atrial septal defect
2. Tetralogy of Fallot
3. Transposition of great vessels
4. Complete heart block

Correct answer: 4. Complete heart block

Explanation: d. Complete heart block(Ref: Nelson's 20/e p 2171-2174, Ghai 8/e p 457-461)Congenital complete AV blockIt is presumed to be caused by autoimmune injury of fetal conduction system by maternally derived anti-SSA/Ro, anti-SSB/ La antibodies in a mother with systemic lupus erythematosus (SLE) or Sjogren syndromeAutoimmune disease accounts for 60-70% of all cases of congenital complete heart block